Most common cadiac anomaly in Turner's syndrome is ?
1. Coarctation of aorta
2. Bicuspid aortic valve
3. Vetricular septal defect
4. Atrial septal defect

Correct answer: 2. Bicuspid aortic valve

Explanation: Ans. is 'b' i.e., Bicuspid aortic valve Turner's syndrome is commonly associated with congenital heart diseases. The most common anomaly associated is bicuspid Aortic valves in one third to one half of the patients (50%). Other congential anomalies associated with Turner's syndrome --> Aortic coarctation (30%), Aortic stenosis, Mitral valve prolapse, Anomalous pulmonary venous drainage